All of the following are seen in Systemic Juvenile Arthritis, except-
1. Rheumatoid Factor + ve
2. Hepatosplenomegaly
3. High fever with rash
4. Elevated E.S.R.

Correct answer: 1. Rheumatoid Factor + ve

Explanation: Ans. is 'a' i.e., Rheumatoid Factor +ve Systemic JRA o Illness begins as intermitent fever rising upto 39deg or (may precede joint involvement by several weeks and even upto 6 months) o There is a characteristic cavenescent maculopapular rash with central clearing o Lymphadenopathy and Splenomegaly may be present o Pericarditis and Interstitial lung disease may be present o Investigations show : 1. moderate neutrophilic leucocytosis 3. RF -ye 2. Elevated ESR 4. ANA can be demonstrated Remember 1. Eye manifestation (Irdocyclitis) can occur in both pauciarticular and polyarticular JRA and absent in systemic JRA 2. ANA can be present in all forms ofJRA. 3. Rheumatoid factor & Rheumatoid Nodule are (+ve) only in some cases ofpolyaicularform. 4. Rashes, Splenomegaly and lymphadenopathy are present in system JRA.